In exocrine pancreatic cancer, the commonest tumour marker to be elevated as -
1. CA-125
2. CEA
3. CA-15-3
4. CA-19-9

Correct answer: 4. CA-19-9